Which CT view is best for paranasal polyps?
1. Coronal
2. Sagittal
3. Axial
4. 3D

Correct answer: 1. Coronal

Explanation: CT scan is the preferred investigation for sinonasal polyps. Coronal cuts are most preferred to view the extent of the polyp.Ref: Hazarika; 3rd ed; Pg 865